Pulsus parvus et tardus is seen in ?
1. Severe AS
2. Severe MS
3. Severe AR
4. Severe MR

Correct answer: 1. Severe AS

Explanation: Answer- A. Severe ASPulsus tardus or pulsus parvus-et-tardus is a slow rising pulse with delayed systolic peak. It is seen in severe AS.